A glycoprotein that regulates folding of proteins that are exported from the cell is
1. Mucins
2. Transferrin
3. Calnexin
4. Lectin

Correct answer: 3. Calnexin

Explanation: Glycoproteins Calnexin and Calreticulin regulate folding of proteins that are exported from the cellRef: Harper's biochemistry; 30th edition; Chapter 46; Glycoproteins